Mode of inheritance forAchondroplasia is -
1. Autosomal dominant
2. Autosomal recessive
3. X-linked dominant
4. X- linked recessive

Correct answer: 1. Autosomal dominant